Fastest absorbing sugar in the intestine
1. Glucose
2. Sucrose
3. Maltose
4. Mannose

Correct answer: 1. Glucose

Explanation: In the intestine, absorption is faster in case of monosaccharides when compared to disaccharides or polysaccharides. Glucose, fructose and galactose are hexoses which are monosaccharides.